Which of the following does not dependent on insulin GLUT4 for glucose uptake?
1. Brain
2. Skeletal muscles
3. Cardiac muscle
4. Adipose tissue

Correct answer: 1. Brain

Explanation: Tissue-like brain is still able to impo glucose from the serum through maintaining a basal level glucose receptors on the cell surface.The general picture is as follows :Glucose is hydrophilic and cannot cross cell membrane most cell have membrane proteins that can shuttle glucose from one side to otherRef: DM Vasudevan, 7th edition, page no: 318